The factories Act (1976) prohibits employment of a person below -
1. 10 years
2. 14 years
3. 18 years
4. 21 years

Correct answer: 2. 14 years

Explanation: Ans. is `b' i.e., 14 years